The mean radiant temperature is measured by
1. Dry bulb thermometer
2. Wet bulb thermometer
3. Six's maximum and minimum thermometer
4. Globe thermometer

Correct answer: 4. Globe thermometer

Explanation: Instruments used in Air temperature Instrument Measures Dry bulb thermometer Air temperature Wet bulb thermometer Air temperature Maximum thermometer Air temperature Minimum thermometer Air temperature Six's maximum and minimum thermometer Air temperature Silvered thermometer Air temperature Globe thermometer Mean radiant temperature Wet Globe thermometer Environmental heat Kata thermometer Cooling power of Air; Low air velocities Ref: Park 25th edition Pgno : 783-784